Soil may act as a reservoir for all except-
1. Tetanus
2. Anthrax
3. Brucellosis
4. Coccidioidomycosis

Correct answer: 3. Brucellosis

Explanation: The reservoir of infection of brucellosis:
Main reservoirs of human infection are cattle, sheep, goats, swine, buffaloes, horse and dogs
Cross infection can occur between animal species 
The animals may remain infected for life.